Reverse cold chain is for -
1. Measles
2. Polio
3. Rubella
4. Pertussis

Correct answer: 2. Polio

Explanation: Reverse cold chain is used in AFP surveillance. When any case of acute flaccid paralysis is found anywhere in the world, stool samples from the affected child must be transported carefully to the laboratory so that they can be tested to identify whether the poliovirus was the cause.A reverse cold chain is the process of stool samples that need to be tested getting back to the laboratory from the field at certain temperatures so that the virus that might be in the sample will still be identifiable. REF. PARK'S TEXTBOOK OF PREVENTIVE AND SOCIAL MEDICINE 21ST EDITION. PAGE NO - 189